The best marker for hyperthyroidism -
1. T3
2. T4
3. TSH
4. Thyroglobulin

Correct answer: 3. TSH

Explanation: Ans. is 'c' i.e., TSHo Currently. TSHQ is the most important test for determining thyroid dysfunction in both hypothyroid and hvperthvroid patients.o This has been made possible by the improvement in sensitivity oJ'TSH measurements over the years.o If the results of these sensitive assays for TSH is within the reference interval, it usually excludes thyroid dysfunction.Hyperthyroid patients-Usually have suppressed TSHQ values with the exception ofthose few individuals, who have hyperthyroidism caused by TSH producing pituitary tumours (secondary hypothyroidism).Hypothyroid patients-Most patients have markedly elevated TSHQ but levels are low in individuals with hypothyroidism caused by pituitary or hypothalamic disorders (secondary hypothyroidism).o To confirm the presence of thyroid dysfunction, free T4 determinations with or without T4 along with TSH can be used in patients suspected hypothyroidism or hyperthyroidism.